Fracture of lateral condyle of humerus is seen in age group of?
1. 2-3 years
2. 5-15 years
3. 15-25 years
4. 35- 45 years

Correct answer: 2. 5-15 years

Explanation: The lateral condylar (or capitular) epiphysis begins to ossify during the first year of life and fuses with shaft at 12-16 years. Between these ages it may be shared off or avulsed by forceful traction. The maximum chances of injury is between 5-15 years. Ref: Apley's 8/e, Page 596-609; Rockwood and Green's Fractures in Adults 6/e, Page 990-92.